Sexual asphyxia is:
1. Suicidal death
2. Homicidal death
3. Natural death
4. Accidental death

Correct answer: 4. Accidental death

Explanation: Ans. Accidental death